All are cardiotoxic except
1. Aconite
2. Opium
3. Oleander
4. Nicotine

Correct answer: 2. Opium

Explanation: Opium is somniferous poison, not cardiotoxic poison. cardiotoxic poisons: Car- Cardiac D- Digitalis O- Oleander N- Nicotine A- Aconite Mnemonic: CAR DONA